Otto Veraguth sign is found in
1. Mania
2. Anxiety
3. OCD
4. Depression

Correct answer: 4. Depression

Explanation: D i.e. Depression